Transplantation of an organ to other than its normal location
is called as
1. Isograft
2. Allograft
3. Heterotopic graft
4. Orthotopic graft

Correct answer: 3. Heterotopic graft

Explanation: Transplantation of an organ to other than its normal location is called as heterotopic transplant. Ex- kidney in iliac fossa, liver in subhepatic space.